A man who is chronic alcoholic will develop which type of cardiomyopathy
1. Hypertrophic cardiomyopathy
2. Restrictive cardiomyopathy
3. Dilated cardiomyopathy
4. Pericarditis

Correct answer: 3. Dilated cardiomyopathy

Explanation: Cardiomyopathy is disease of the heart muscle. Causes for Dilated Cardiomyopathy:- * Alcohol is the most common toxin implicated in chronic DCM. * Excess consumption may contribute to more than 10% of cases of heart failure, including exacerbation of cases with other primary etiologies such as valvular disease or previous infarction. * Toxicity is attributed both to alcohol and to its primary metabolite, acetaldehyde. * Polymorphisms of the genes encoding alcohol dehydrogenase and the angiotensin converting enzyme may influence the likelihood of alcoholic cardiomyopathy in an individual with excess consumption. * Superimposed vitamin deficiencies and toxic alcohol additives are rarely implicated currently. * Atrial fibrillation occurs commonly both early in the disease ("holiday heart syndrome") and in advanced stages. * Medical therapy includes neurohormonal antagonists and diuretics as needed for fluid management. Ref:- Harrison's Principles of Internal Medicine 20th edition; Pg num:- 1779